In which of the following oligonucleotide primer is used?
1. RFLP
2. PCR
3. FISH
4. Chromosomal walking

Correct answer: 2. PCR

Explanation: DNA sequencing is used to determine the nucleotides in a DNA strand. The Sanger chain termination method of sequencing uses a primer to start the chain reaction. In PCR, primers are used to determine the DNA fragment to be amplified by the PCR process. Ref-Sathyanarayana 4/e p386